Rate of Oxygen consumption by odontoblast is
1. 3.2+- 0.2 ml/min/100g
2. 4.2+- 0.2 ml/min/100g
3. 2.2+- 0.2 ml/min/100g
4. 3.5+- 0.2 ml/min/100g

Correct answer: 1. 3.2+- 0.2 ml/min/100g